Wallerian degradation includes
1. Axon degradation
2. Myelin degradation
3. Phagocytosis to clear the injury site
4. All

Correct answer: 4. All

Explanation: Distal degradation also called wallerian degradation includes 3 major steps Axon degradation Myelin degeneration Phagocytosis to clear injury site It occures with 24 hrs Ref:Guyton and Hall textbook of medical physiology 12th edition,page number :74,75,76